The guidelines according to Baby Friendly Hospital Initiative includes all except
1. Mothers and infant to be together for 24 hours a day
2. Mother to initiate breast feeding within 4 hours of normal delivery
3. Giving newborn infants no food or drink other than breast milk
4. Encouraging breast feeding on demand

Correct answer: 2. Mother to initiate breast feeding within 4 hours of normal delivery

Explanation: Help mother Initiate breast feeding ‘within half hour of birth’